Tumor associated with polycythemia is:
1. Sarcoma
2. Pituitary adenoma
3. Cerebellar hemangioblastoma
4. None of the above.

Correct answer: 3. Cerebellar hemangioblastoma

Explanation: Ans. C. Cerebellar hemangioblastomaTumors of kidney, liver, lung, uterus & cerebellum are associated with PV.a. Renal cystsb. Hypernephromac. Hepatomad. Pheochromocytomae. Uterine fibromyomaf. Cerebellar hemangioblastoma